Adrenal hyperplasia due to 21 hydroxylase deficiency is treated with low dose:
1. Androgen
2. Estrogen
3. Cortisone
4. Anti androgen

Correct answer: 3. Cortisone

Explanation: Ans: cRef: Pedia ghai, 6th ed, p. 497, Nelson, 17th ed, p. 1912